Which of the anaesthetic agent is maximally metabolized:
1. Methoxyflurane
2. Halothane
3. Nitrous oxide
4. Isoflurane

Correct answer: 1. Methoxyflurane

Explanation: Methoxyflurane is most extensively metabolized. (50%), to liberate very high fluoride.